Which of the following enzyme is absent in muscle ?
1. Glucose-1-phosphatase
2. Glucose-6-phosphatase
3. Glycogen phosphorylase
4. Thiophorase

Correct answer: 2. Glucose-6-phosphatase

Explanation: Skeletal muscle and adipose tissue cannot contribute directly to blood glucose because it does not contain glucose-6-phosphatase.The glucose -1-phosphate is converted to glucose-6-phosphate by phosphoglucomutase. And only liver but not muscle can utilize glucose-6-phosphate to generate glucose